Ranula is a
1. Mucous cyst
2. Tumour
3. Submandibular gland swelling
4. Swelling on dorsum of tongue

Correct answer: 1. Mucous cyst

Explanation: Ranula The term "ranula" is used to describe a diffuse swelling in the floor of the mouth caused by either a mucous extravasation or, less commonly, a mucous retention cyst derived from the major sublingual or submandibular salivary glands. It is a cystic translucent lesion seen in the floor of the mouth on one side of the frenulum and pushing the tongue tip. Treatment It is complete surgical excision if small, or marsupialization, if large. Often it is not possible to excise the ranula completely because of its thin wall or ramifications in various tissue planes. (Ref:Textbook of diseases of ENT, PL Dhingra, 7th edition, pg no. 252)